DOC for treatment of SSPE -
1. Abacavir
2. Inosine pranobex
3. Glatiramer
4. Interferon

Correct answer: 2. Inosine pranobex

Explanation: Ans. is 'b' i.e., Inosine pranobex o Inosine pranobex is used as an immune-modulator for the management of patients with :1. Immune-depression suffereing from viral infections such as SSPE, varicella, herpes simplex Type 1 & 2.2. In the management of recurrent herpes simplex Type 1 & 2.3. As an adjunct in the treatment of genital warts.